A 32-year-old G5P1 presents for her first prenatal visit. A complete obstetrical, gynaecological, and medical history and physical examination is done.Classically, cervical incompetence is characterized by delivery in the second trimester preceded by which of the following?
1. Fever
2. Heavy bleeding
3. Painless dilatation
4. Painful contractions

Correct answer: 3. Painless dilatation

Explanation: Incompetent Cervix- Characterized by painless cervical dilatation in the second trimester. It can be followed by prolapse and ballooning of membranes into the vagina, and ultimately, expulsion of an immature fetus. Unless effectively treated, this sequence may repeat in future pregnancies